In the Manning scoring system of biophysical profile for fetal monitoring, which parameter is not included:
1. Fetal tone
2. Fetal gross body movements
3. Oxytocin challenge test
4. Non stress test

Correct answer: 3. Oxytocin challenge test

Explanation: Ans is 'c' i.e. Oxytocin Challenge test Manning's biophysical profile is made up of 5 componentsReactive non stress testFetal breathing movementFetal gross body movementFetal muscle toneAmniotic fluid volumeComponents and their scores for the biophysical profileComponentScore 2Score 0Non stress test2 accelerations of15 beats/min for15 sec in 2-40 min0 or 1 acceleration in 2-40 minutesFetal breathing>1 episode of rhythmic breathing lasting > 30 second within 30min< 30 second of breathing 30 minFetal movement> 3 discrete body or limb movements within 30 minutes< 3 discrete movementsFetal tone> 1 episode of extension of a fetal extremity with return to flexion, or opening or closing of hand within 30 minuteNo movements or no extension/ flexionAmniotic fluid volumesingle vertical pocket > 2 cmLargest single vertical pocket < 2 cmA normal observation is given a score of 2, abnormal observation is given a score of 0.In the absence of oligohydramnios, a score of 8 or 10 is normal, a score of 6 is equivocal and a score of 4 or less is abnormal